Which of the following statements about hydralazine is not true ?
1. It causes direct relaxation of the blood vessels
2. It causes dilatation of both arteries and veins
3. Postural hypotension is not a common problem
4. It increases plasma renin activity

Correct answer: 2. It causes dilatation of both arteries and veins